True about insulin is
1. Anabolic steroid
2. Induce lipolysis
3. Produced by a-cells
4. None

Correct answer: 4. None

Explanation: Insulin is a polypeptide hormone, secreted by b cells in the islets of Langerhans, which promotes glucose use, protein synthesis, and the formation and storage of neutral lipids; available in various preparations including genetically engineered human insulin, which is currently favored. Insulin is used parenterally in the treatment of diabetes mellitus.Ref: Ganong's review of medical physiology;24th edition; page no-432